Height of person is 174 cm and his wreight is 89 kg. The person is -
1. Underweight
2. Normal
3. Preobese
4. Obese

Correct answer: 3. Preobese

Explanation: Ans. is 'c' i.e., Preobese o Weight = 89 kgo Height = 174 cm = 1.74 metreo Thus the person is question comes in range of pre-obese, i.e. BMI25 - 29.99Classification of adults according to BMIClassificationBMIRisk of comorbiditiesUnderweight<18.50Low (but risk of other clinical problems increased)Normal range18.50-24.99AverageOverweight:>25.00 Pre-obese25.00-29,99IncreasedObese class I30.00-34.99ModerateObese class II35.00-39.99SevereObese class III>40.00Very severe